Schneider's first rank symptoms is seen in:
1. Delusion
2. Hallucination
3. Schizoid personality
4. Schizophrenia

Correct answer: 4. Schizophrenia

Explanation: Ans. D: Schizophrenia Kurt Schneider (1959) described symptoms which, though not specific of schizophrenia, were of great help in making a clinical diagnosis of schizophrenia These are popularly known as Schneider's first rank symptoms of schizophrenia (FRS/ SFRS)